Which immunoglobulin is scarce in human serum-
1. IgA
2. IgG
3. IgM
4. IgE

Correct answer: 4. IgE

Explanation: IgE is an 8 S molecule. - resemble IgG structurally. - heat liable - affinity for the surface of tissue cells of the same species. - normal serum contains only traces of IgE ( a few nanograms per ml ) - greatly elevated levels in atopic conditions like asthma, hay fever. REF:Anathanarayan & paniker's 9th edition, pg no: 98,98